The drug which blocks both H1 and 5 HT2 receptor is :
1. Phenoxybenzamine
2. Cyproheptadine
3. Ritanserin
4. Ondansetron

Correct answer: 2. Cyproheptadine